All of the following species of borrelia are associated with Tick Borne Relapsing Fever, EXCEPT:
1. Borrelia Recurrentis
2. Borrelia Hermsii
3. Borrelia Turicatae
4. Borrelia Duttanii

Correct answer: 1. Borrelia Recurrentis

Explanation: Epidemic relapsing fever or Louse-borne fever is caused by Borrelia Recurrentis and is transmitted from person to person by Pediculus humanus. Ref: Harrison's Principles of Internal Medicine, 17th Edition, Pages 1052-53; Clinical Laboratory Medicine By Macclatchey, 2nd Edition, Page 1119